Mass treatment strategy is for treating-
1. Plague
2. Filariasis
3. Cholera
4. Diphtheria

Correct answer: 2. Filariasis